The most common cause of hyperparathyroidism is
1. Parathyroid adenoma
2. Parathyroid hyperplasia
3. MEN 1
4. Medullary carcinoma of thyroid

Correct answer: 1. Parathyroid adenoma

Explanation: Primary hyperparathyroidism is a generalized disorder of calcium, phosphate, and bone metabolism due to an increased secretion of PTH. The elevation of circulating hormone usually leads to hypercalcemia and hypophosphatemia.Solitary adenomas: A single abnormal gland is a cause in ~80% of patients; the abnormality in the gland is usually a benign neoplasmor adenoma and rarely a parathyroid carcinoma.Ref: Harrison; 19th edition; Page no: 2470